Sunder Lal, 28 year old farmer is found convulsing in the farm. Heart rate is 100/min and blood pressure is 180/110 mm Hg. Diarrhea, sweating and urination are apparent. Pupils are pin point. Drug poisoning is suspected. Most probable cause is:
1. Acetaminophen overdose
2. Amphetamine toxicity
3. Organophosphate poisoning
4. Atropine poisoning

Correct answer: 3. Organophosphate poisoning

Explanation: All the given symptoms are due to anticholinesterase action.